The content of epiplocele is?
1. Intestine
2. Omentum
3. Colon
4. Urinary bladder

Correct answer: 2. Omentum

Explanation: These can be:
1. Omentum = omentocele (synonym: epiplocele)
2. Intestine = enterocele; more commonly small bowel but may be large intestine or appendix
3. A portion of the circumference of the intestine = Richter s hernia
4. A portion of the bladder (or a diverticulum) may constitute part of or be the sole content of a direct inguinal, a sliding inguinal or a femoral hernia
5. Ovary with or without the corresponding fallopian tube
6. A Meckel's diverticulum = a Littre's hernia
7. Fluid, as part of ascites or as a residuum thereof